Which of the following is the SAFEST test to be performed in a patient with acutely injured knee joint?
1. Lachman test
2. Pivot shift test
3. Mc Murray's test
4. Apley's grinding test

Correct answer: 1. Lachman test

Explanation: A i.e. Lachmans test